Which structure lies midway between the Anterior superior iliac spine & pubic symphysis-
1. Femoral artery
2. Deep inguinal ring
3. Superior epigastric artery
4. Inguinal ligament

Correct answer: 1. Femoral artery

Explanation: External iliac artery continues as femoral artery at mid-inguinal point.